Whipples triad is seen in :
1. Insulinoma
2. Somatostatinoma
3. Glucagonoma
4. CA pancreas

Correct answer: 1. Insulinoma

Explanation: Ans. is 'a' ie Insulinoma Whipple's triad includesSign and symptoms of hypoglycemiaSerum levels of less than 40 mg/ dl of glucose during the attackby prompt relief of symptoms after glucose administration.Whipple's triad is seen in - InsulinomaInsulinomasare endocrine tumors of the pancreas thought to be derived from b cells that secrets insulin.Insulinomas are generally small* (>90% are <2 cm in diameter), usually solitary tumor.Only 5 to 15% are malignant.they are distributed equally in head, body & tail of pancreas*